A female taking alcohol is more prone to develop toxicity and cirrhosis compare with male when same amount of alcohol taken due to -
1. ↓ed alcohol dehydrogenase in stomach
2. ↑ed absorption
3. Congenital
4. Genetic factor

Correct answer: 1. ↓ed alcohol dehydrogenase in stomach